Charcot - Leyden crystals are derived from
1. Eosinophils
2. Basophils
3. Bronchial goblet cells
4. Mast cells

Correct answer: 1. Eosinophils